A young patients presented with loss of sensation in sloe of foot with paralysis of medial side of plantar muscles of the foot, Most likely nerve involvement is
1. Common peroneal nerve
2. Deep peroneal nerve
3. Superficial peroneal nerve
4. Tibial nerve

Correct answer: 4. Tibial nerve

Explanation: (Tibial nerve) (172 - 74- BDC 4th edition) (660- Snell 8th)Common peroneal nerve injuryMotor- The muscles of the Anterior and lateral compartments of the leg are paralysed. As a result the opposing muscles, the planter flexors of the ankle joints and the invertors of the subtalar and transverse tarsal joints and the invertors of the subtalar and transverse tarsal joints, causes the foot to be plantar flexed (foot drop) and inverted and attitude reffered to as equinovarusSensory loss - Loss of sensation occurs down the anterior and lateral sides of the leg and dorsum of the foot and toesTibial Nerve InjuryMotor - All the muscles in the back of the leg and the sole of the foot are paralyzed. The opposing muscles dorsiflex the foot at the ankle joints and evert the foot at the subtalar and transverse tarsal joints, and attitude reffered to as calcaneo valgusSensory - Sensation is lost on the sole of the footDeep peroneal nerve injury - Paralysis of muscles of the anterior compartment of the leg results in loss of the power of dorsiflexion of the foot (Foot drop)